Tumor marker for dysgerminoma is?
1. AFP
2. LDH
3. HCG
4. CA-125

Correct answer: 2. LDH

Explanation: Ans is 'b' i.e., LDH * Most dysgerminomas are associated with elevated serum lactic dehydrogenase (LDH).* Additionally, elevated serum levels of neuron-specific enolase, calcium, inhibin, placental alkaline phosphatase (PLAP), and prolactin have been reported.